Most common method of anterior capsulotomy in phacoemulsification
1. Can-opener capsulotomy
2. Intercapsular capsulotomy
3. Capsulorhexis
4. Envelop capsulotomy

Correct answer: 3. Capsulorhexis

Explanation: Answer- C. CapsulorhexisThe most commonly used technique for anterior capsulotomy during phacoemulsification is continuous curvilinear capsulorhexis (CCC).